When does a secondary oocyte complete its second meiotic division to become a mature ovum?
1. At ovulation
2. Before ovulation
3. At fertilization
4. At puberty

Correct answer: 3. At fertilization

Explanation: Secondary oocyte complete its second meiotic division to become a mature ovum at fertilization. At ovulation, a secondary oocyte begins meiosis II, but this division is arrested at metaphase. The secondary oocyte will remain arrested in metaphase until a sperm penetrates it at fertilization. Therefore, the term "mature ovum'" is somewhat of a misnomer because it is a secondary oocyte that is fertilized, and, once fertilized, the new diploid cell is known as a zygote. If fertilization does not occur, the secondary oocyte degenerates.